Superior rib notching is/are caused by – a) Hyperparathyroidismb) Poliomyelitisc) Blalock tausing shuntd) Marfan syndromee) Coarctation of aorta
1. acd
2. bcd
3. abc
4. abd

Correct answer: 4. abd

Explanation: Hyperparathyroidism, poliomyelitis and Marfan's syndrome cause notching of superior surface of rib.